What is the most common site of an accessory spleen?
1. Greater curvature of the stomach
2. Gastrocolic ligament
3. Splenocolic ligament
4. Splenic hilum

Correct answer: 4. Splenic hilum

Explanation: Splenunculi- single or multiple accessory spleens MC site: near the hilum of the spleen > behind the tail of the pancreas The remainder are located in the mesocolon, greater omentum or the splenic ligaments. Significance- failure to identify and remove these at the time of splenectomy may give rise to persistent disease